Diagnostic criteria of SLE Is/are
1. ANA
2. Anti ds-DNA
3. Proteinuria> 500 mg/day
4. All

Correct answer: 4. All

Explanation: Ref - Davidsons 23e p1036